In a person who has fasted for 5 days all are seen except
1. GH levels decreased
2. Glucose tolerance decreased
3. Immunoreactive insulin decreased
4. Free fatty acids(plasmal) increased

Correct answer: 1. GH levels decreased